Registration of birth should be done:
1. Within 15 days
2. After 21 days
3. Before 21 days
4. Within 30 days

Correct answer: 3. Before 21 days

Explanation: Ans. (c) Before 21 daysRef : K. Park 23rd ed. / 840-41Registration of Some Vital Events* Birth: before 21 days* Death: before 21 days* Marriage: before 30 days